Which among the following is the origin of the uterine artery?
1. External iliac artery
2. Inferior rectal artery
3. Internal iliac artery
4. Ovarian artery

Correct answer: 3. Internal iliac artery

Explanation: The blood supply to the uterine corpus arises from the ascending branch of the uterine artery and from the medial or uterine branch of the ovarian artery. The uterine artery may originate directly from the internal iliac artery as an independent branch or it may have a common origin with the internal pudendal or with the vaginal artery. Ref: Hoffman B.L., Schorge J.O., Schaffer J.I., Halvorson L.M., Bradshaw K.D., Cunningham F.G., Calver L.E. (2012). Chapter 38. Anatomy. In B.L. Hoffman, J.O. Schorge, J.I. Schaffer, L.M. Halvorson, K.D. Bradshaw, F.G. Cunningham, L.E. Calver (Eds), Williams Gynecology, 2e.